Gold poisioning leading to exfoliative dermatitis is treated by :
1. Chloroquin
2. Steroid
3. Antibiotics
4. Antihistaminics

Correct answer: 2. Steroid

Explanation: B i.e. Steroid Exfoliative dermatitis or erythroderma is caused by dermatitis (eczema), psoriasis, lichen planus, pityriasis rubra pilaris and drugs like gold but not by pityriasis rosea and versicolor. It is treated by steroidsQ.